A 38 year old man is posted for extraction of last molar tooth under general anaesthesia as a day care case. lie wishes to resume his work after 6 hours. Which one of the following induction agents is preferred?
1. Propofol
2. Ketamine
3. Diazepam
4. Thiopentone sodium

Correct answer: 1. Propofol

Explanation: Propofol has replaced the barbiturates for induction of anesthesia in the ambulatory setting because of its favorable recovery profile. Recovery after induction of anesthesia with propofol is faster than with the barbiturate compounds and is associated with low incidence of post operative nausea and vomiting. Ref: Essentials of Medical Pharmacology By K O Tripathi, 5th Edition, Page 344; Miller's Anesthesia, 6th Edition, Pages 2602-3